Diameter of the optic disc is –
1. 0.5 mm
2. 1.5 mm
3. 2.5mm
4. 3.5 mm

Correct answer: 2. 1.5 mm

Explanation: Actually, optic disc is vertically oval with vertical diameter 1.88 mm and horizontal diameter 1.76 mm. However, some textbooks (like khurana) have metioned it as circular area of 1.5 mm diameter.